True about Bell's palsy
1. Spontaneous recovery
2. Steroid contraindicated
3. 25% have resolved
4. Antibiotic mainstay of treatment

Correct answer: 1. Spontaneous recovery

Explanation: Bells palsy undergoes spontaneous recovery on appropriate treatment. Ref: Dhingra 6th edition pg. 95